Disinfectance used for blood spills
1. Phenol
2. Glutaraldehyde
3. Ethanol
4. Sodium hypochlorite

Correct answer: 4. Sodium hypochlorite

Explanation: Hypochlorites are most widely used chlorine disinfectant. Liquid form: sodium hypochlorite Household bleach Broad-spectrum of antimicrobial activities Do not leave toxic residues Unaffected by water hardness Inexpensive and fast-acting Remove dried or fixed organisms and biofilm a from surfaces (refer pgno:129 park 23 rd edition)